Itai - Itai disease is caused by:
1. Mecury toxicity
2. Cadmium toxicity
3. Lead toxicity
4. Arsenic toxicity

Correct answer: 2. Cadmium toxicity

Explanation: Cadmium poisoning causes itai-itaidisease which is also known as ouch ouch disease due to cadmium contaminated water. Cadmium poisoning also causes other signs and symptoms like yellowing of teeth(Cadmium ring formation) and chronic renal failure.